Streptomyces of granules in mycetoma caused by Actinomadura pelletieri
1. Red
2. Yellow
3. Black
4. Brown

Correct answer: 1. Red

Explanation: Brown to black- Madurella mycetomatis, madurella grisea, exophiala jeanselmei.
White to yellow- Nocardia asteroides, Nocardia brasiliensis, Actinomadura madurae, Streptomyces somaliensis, Scedosporium apiospermum.